Familial Renal Cell carcinoma is associated with:
1. Turners syndrome
2. Alports syndrome
3. Peutz-jeghers syndrome
4. Von Hippel Lindau syndrome

Correct answer: 4. Von Hippel Lindau syndrome

Explanation: Von Hippel Lindau syndrome